Chancroid is caused by?
1. H. Ducrei
2. N. Gonnorrea
3. T. Pallidum
4. H. Influenza

Correct answer: 1. H. Ducrei

Explanation: Ans:A.)H. Ducrei CHANCROID (SOFT SORE) This venereal infection is caused by the Gram-negative bacillus Haemophilus ducreyi. One to 5 days post-infection, a soft sloughy ulcer appears on the penis or vulva. The treatment of choice is erythromycin (500 mg 6-hourly for 14 days).